All of the following cause intravascular hemolysis, Except:
1. Mismatched Blood transfusion
2. Snake bite
3. Thalassemia
4. Paroxysmal Nocturnal Hemoglobinuria (PNH)

Correct answer: 3. Thalassemia

Explanation: Answer is C (Thalassemia) Hemoglobinopathies including thalassemia cause extravascular hemolysis and not intravascular hemolysis. Causes of intravascular hemolysis Blood transfusion - ABO mismatched transfusion - Infected blood Thermal burns Snake bites Sepsis - Bacterial / parasitic infections - Clostridial sepsis - Malaria - Bartonellosis - Mycoplasma pneumoniae Mechanical heart valves Paroxysmal hemoglobinuria - PNH - PCH Causes of extravascular hemolysis Blood and viral infections - Malaria - Mycoplasma pneumoiae - Infectious mononucleosis Drug-induced hemolysis - G6PD/GSH deficiency - Autoimmune drug reactions - Strong oxidant drugs/chemicals Autoimmune hemolysis - Warm-reacting (IgG) AIHA - Cold-reacting (IgM) AIHA Hemoglobinopathies - Thalassemia Membrane structural defect - Hereditary sperocytosis - Hereditary spherocytosis - Acanthocytosis Environmental disorders - Malignancy/D1C - TTP/HUS